Fractalkine is also called  --------------.
1. CXCL8
2. RANTES
3. MCP-1
4. CX3CL 1

Correct answer: 4. CX3CL 1

Explanation: CX3 C chemokines contain three amino acids between the first two cysteines. The only known member of this class is called fractalkine (CX3 CL1). This chemokine exists in two  forms:  a  cell  surface-bound protein induced on endothelial cells by inflammatory cytokines that promotes strong adhesion of monocytes and T cells, and a soluble form, derived by proteolysis of the membrane-bound protein, that has potent chemoattractant activity for the same cells.
Reference-Robbins BASIC PATHOLOGY 10th edition pg-172